A 55-year-old woman was found to have Ca cervix, FIGO stage 2-3, locally advanced. What would be the management?:
1. Surgery plus chemotherapy
2. radiotherapy plus chemotherapy
3. Chemotherapy
4. Radiotherapy plus HPV vaccine

Correct answer: 2. radiotherapy plus chemotherapy

Explanation: As discussed in detail in preceeding text best for cervical cancer of (stages II B to IV A) is chemoradiation (i.e. chemotherapy and radiotherapy), where by cisplatin is used as a radiosensitiser to increase the sensitivity of the cells to radiotherapy before giving radiotherapy.
Since in this question –chemotherapy + radiotherapy is given as one of the options, hence, we will mark it as the correct option.